Shortest part of the colon is
1. Ascending colon
2. Descending colon
3. Transverse colon
4. Sigmoid colon

Correct answer: 1. Ascending colon

Explanation: The large intestine begins in the right iliac region of the pelvis, just at or below the waist, where it is joined to the end of the small intestine at the cecum, the ileocaecal valve. It then continues as the colon ascending the abdomen, across the width of the abdominal cavity as the transverse colon, and then descending to the rectum and its endpoint at the anal canal. Overall, in humans, the large intestine is about 1.5 meters (5 ft) long, which is about one-fifth of the whole length of the gastrointestinal tract. Ref - BDC 6e vol2 pg271-273